Congo-red with amyloid produces-
1. Blue colour
2. Dark brown colour
3. Brilliant pink colour
4. Khaki colour

Correct answer: 3. Brilliant pink colour

Explanation: The histologic diagnosis of amyloid is based almost entirely on its staining characteristics. The most commonly used staining technique uses the dye Congo red, which under ordinary light imparts a pink or red color to amyloid deposits. Under polarized light the Congo red-stained amyloid shows so- called apple-green birefringence Robbins 9 th edition page no. 156